Which one of the following is a monosaccharide
1. Maltose
2. Sucrose
3. Fructose
4. Starch

Correct answer: 3. Fructose